The main disadvantage of Florida probe system is
1. Inconsistent probing force
2. Does not measure extent of plaque
3. Non reproducibility
4. Lack of tactile sensitivity

Correct answer: 4. Lack of tactile sensitivity